Which of the following malignancy is associated with underlying progression and spreads characteristically in a stepwise fashion and hence staging the disease is an important prognostic factor?
1. Hodgkin's lymphoma
2. Multiple myeloma
3. Mature T cell NHL
4. Mature B cell NHL

Correct answer: 1. Hodgkin's lymphoma

Explanation: The staging system used for Hodgkin lymphoma is the Lugano classification, which is based on the older Ann Arbor system. It has 4stages, labeled I, II, III, and IV. For limited stage(I or II) HL that affects an organ outside of the lymph system, the letter E is added to thestage (for example, stage IE or IIE).